The cohesive gold used as a bulk filler is
1. Electra alloy
2. Mat gold
3. spherical gold
4. gold foil

Correct answer: 2. Mat gold